Two-point discrimination test exhibits maximum sensitivity in?
1. Shin
2. Toes
3. Finger pads
4. Soles

Correct answer: 3. Finger pads

Explanation: Two-point discrimination is the ability to discern that two nearby objects touching the skin are truly two distinct points, not one. It is often tested with two sharp points during a neurological examination and is assumed to reflect how finely innervated an area of skin is. The maximum sensitivity for this test is in lips and fingertips which can be remembered as the most sensitive areas of the body.